Most useful for sex determination is:
1. Skull
2. Femur
3. Pelvis
4. Tibia

Correct answer: 3. Pelvis

Explanation: Ans. Pelvis